Skip granulomatous lesions are seen in
1. Ulcerative colitis
2. Crohn's disease
3. Whipple's disease
4. Reiter's disease

Correct answer: 2. Crohn's disease

Explanation: Ans. is 'b' i.e., Crohn's disease Skip lesions are characteristic of Crohn's disease. This pt. is suffering with Crohn's ds. The characterstics of Crohn's ds and their comparison with Ulcerative colitis are given --> Once you know them the answer becomes obvious